A middle aged female has a pathological fracture of clavicle and ribs. The X-ray shows periosteal resorption of 2nd and 3rd metatarsals and phalanges. Most probable cause is?
1. Hyperparathyroidism
2. Hypoparathyroidism
3. Renal Osteodystrophy
4. Osteomalacia

Correct answer: 1. Hyperparathyroidism

Explanation: The following clinical presentation is suggestive of Hyperparathyroidism The low production of vitamin D3 by kidney leads to low calcium The P.T.H levels rise to compensate for low serum calcium and result in bone resorption. The distinctive bone manifestation of hyperparathyroidism is osteitis fibrosa cystica X-ray changes include resorption of the phalangeal tufts and replacement of the sharp cortical outline of the bone in the digits by an irregular outline (sub-periosteal resorption).